widening of the the cartilaginous part of the external auditory canal ?
1. otoplasty
2. myringoplasty
3. tympanoplasty
4. meatoplasty

Correct answer: 4. meatoplasty

Explanation: Z memamtoplasty conchal incision incision extend to superior ear canal